A female has hypopigmented lesion on centre of fore-head. Drug responsible is?
1. Hydroquinone
2. Ether metabolite of hydroquinone
3. Para tertiary butyl catechol
4. Para tertiary butyl phenol

Correct answer: 4. Para tertiary butyl phenol

Explanation: Phenol (Carbolic acid)- It is one of the earliest used antiseptics and still the standard for comparing other germicides. It is a relatively weak agent (static at 0.2%, cidal at > 1%, poor action on bacterial spores). It is a general protoplasmic poison, injuring microbes and tissue cells alike-at higher concentrations causes skin burns and is caustic. It acts by disrupting bacterial membranes and denaturing bacterial proteins. Organic matter diminishes its action slightly while alkalies and soaps do so profoundly (carbolic soaps are not more germicidal than the soap itself). It is now seldom employed as an antiseptic, but being cheap, it is used to disinfect urine, feces, pus, sputum of patients and is sometimes included in antipruritic preparations because of its mild local anesthetic action. Phenol peel is also used for hypopigmentation ESSENTIALS of medical PHARMACOLOGY SEVENTH EDITION-KD TRIPATHI Page:898,889